Patients suffering from multidrug resistant tuberculosis can be treated with all the following drugs except
1. Tobramycin
2. Amikacin
3. Ciprofloxacin
4. Claruthromycin

Correct answer: 1. Tobramycin

Explanation: Refer KDT 6/e p 748 Aminoglycosides effective in MDR tuberculosis are Amikacin, kanamycin, capreomycin Tobramycin is not effective against mycobacterium Ciprofloxacin and Clarithromycin are also used for tuberculosis